All of the following are true about hemangioblastoma except?
1. Most common primary intra-axial tumor in the adult posterior fossa
2. Solid or cystic with a mural nodule
3. Polycythemia due to increased erythropoietin production
4. Premalignant condition

Correct answer: 4. Premalignant condition

Explanation: Hemangioblastoma - MC primary intra- axial tumor in the adult posterior fossa - Occur almost exclusively in the posterior fossa (cerebellum) - Solid or cystic with a mural nodule - May occur sporadically, and 20% of cases may be associated with von Hippel-Lindau disease (hemangioblastomas, retinal angiomas, RCC, pheochromocytoma, renal and pancreatic cysts). - It is a benign tumor - Present with Polycythemia due to increased erythropoietin production